All of the following are features of pilocytic astrocytoma Except
1. Rosenthal fibres
2. Eosinophilic granular bodies
3. Microcalcifications
4. Hair like projections

Correct answer: 3. Microcalcifications

Explanation: Pilocytic astrocytoma, WHO Grade I, harbors BRAF V600E mutations. It is characterized by astrocytes with bipolar hair like processes and abundant Rosenthal fibers and eosinophilic granular bodies. Microcalcifications and chicken wire vasculature is characteristic of oligodendroglioma